Not raised in liver disorder is/are:
1. Lipase
2. ALP
3. AST
4. ALT

Correct answer: 1. Lipase

Explanation: Lipase and Amylase are used in diagnosis of Pancreatitis Urease is used to estimate urea in lab. ALP ( Alkaline Phosphatase ), AST ( Aspartate Transaminase), ALT (Alanine Transaminase ) are specific for liver. ADDITIONAL EDGE: Table: Enzymes of Diagnostic Importance Enzyme Diagnostic use Amylase and Lipase Pancreatitis Acid Phosphatase Prostate cancer Alkaline Phosphatase (ALP) Bone, Liver disease an Hyperthyroidism Creatine Kinase (CK) Recent Myocardial Infarction Lactate DH (LDH) Myocardial Infarction, Liver diseases, Leukemia Transaminases Myocardial infarction (SGOT), Liver diseases (SGPT)